Tachyzoites are seen in -
1. Toxoplasma
2. Toxocara
3. Pulmonary eosinopjilia
4. Ascaris

Correct answer: 1. Toxoplasma

Explanation: rapidly multiplying Proliferative forms of trophozoites In pseudocyst seen in acute infection (refer pgno:64 baveja 3 rd edition)